A 65-year-old male patient complains of loss of libido and is found to have a low free and total testosterone level. Treatment is commenced with testosterone supplemental therapy. What is the next step in management after testosterone administration?
1. Check PSA levels
2. Testosterone levels are decreased
3. Decrease in size of benign prostatic tissue lesions occurs
4. Decrease in size of prostatic cancer occurs

Correct answer: 1. Check PSA levels

Explanation: PSA levels can increase because both benign and malignant prostatic tissue are sensitive to testosterone (hormonal) therapy. There is increased prostatic growth with elevation of PSA and possible polycythemia.